Vaccine for post splenectomy infection is given against all except :
1. Streptococcus pneumonia
2. Haemophilia influenza
3. Neisseria meningitides
4. E.coli

Correct answer: 4. E.coli

Explanation: Splenectomy : Most serious sequela is overwhelming postsplenectomy infection (OPSI), with meningitis, pneumonia, or bacteraemia OPSI is typically caused by polysaccharide-encapsulated organisms, such as Streptococcus pneumoniae, Neisseria meningitidis & Hemophilus influenzae When elective splenectomy us planned, vaccination against encapsulated bacteria should be given atleast 2 weeks before surgery If spleen is removed in emergency, vaccination should be given as soon as possible Vaccines should be given for Streptococcus pneumoniae, Hemophilus influenza type B & Meningococcus In addition to above given 3 vaccines, annual influenza immunization is also advised as influenza has been implicated as a risk factor for secondary bacterial infections Booster injections of pneumococcal vaccine should be given every 5-6 years Harrison says "Routine Chemoprophylaxis with oral penicillin can result in the emergence of drug-resistant strains and is not recommended" Ref: Sabiston 20th edition Pgno : 1564